The nerve root blocked in pudendal block is
1. L 1,2,3
2. L 2,3
3. S 2,3,4
4. S 4

Correct answer: 3. S 2,3,4

Explanation: Pudendal nerve block : Pudendal nerve arises from S2,3,4. Doesn't relieve the pain of labor Cause perineal analgesia and relaxation Ref: Dutta Obs 9e pg 480.